35 year ahas presented with 2 episodes of hematemesis. On examination his pulse rate is 100/min with BP of 90/60 mm Hg. Per abdomen examination shows spleen palpable 3 cm below costal margin. Which is true about this patient?
1. Elevated CRP and Low C3
2. Most common site of bleeding is First part of duodenum
3. Urgent Elective intubation of patient
4. The increased pressure of portal vein pressure should be lowered with octreotide

Correct answer: 4. The increased pressure of portal vein pressure should be lowered with octreotide

Explanation: Hematemesis + splenomegaly- Portal hypertension Elevated CRP + Low C3 (Only with inflammatory condition) Most common site of bleeding in 1st part of duodenum - Peptic ulcer disease Urgent reflective intubation - bleeding esophageal varices The increased pressure of portal vein pressure should be lowered with octreotide - portal hypertension For prevention - Propranalol TOC - UGIE + Sclerotherapy 1st line - Fluid resuscitation